True about cavernous sinus thrombosis
1. Pupils are dilated
2. Enophthalmos
3. Unilateral
4. Slow onset

Correct answer: 1. Pupils are dilated